The objective methods to measure errors of refraction are all except
1. Retinoscopy
2. Refractometry
3. Keratometry
4. Binocular balancing

Correct answer: 4. Binocular balancing

Explanation: The procedure for determining and correcting refractive errors is termed as refraction. It is an art that can only be mastered by practice. The refraction comprises two complementary methods, objective and subjective. OBJECTIVE REFRACTION The objective methods of refraction include: *Retinoscopy *Refractometry and *Keratometry SUBJECTIVE REFRACTION Subjective refraction is meant for finding out the most suitable lenses to be prescribed. It should always be carried out after getting a rough estimate of the refractive error by the objective refraction as described above. The proper subjective refraction includes three steps: I. Subjective verification of refraction II. Subjective refinement of refraction, and III. Subjective binocular balancing Subjective binocular balancing: The final step in the subjective refraction is binocular balancing--a process sometimes known as 'equalizing the accommodative effort' or 'equalization of vision'. This allows both eyes to have the retinal image simultaneously in focus. Reference : Khurana Comprehensive Ophthalmology; 4th edition ; Pages: 547, 548, 554, 557.